Chemical peeling is done by all except –
1. Trichloroacetic acid
2. Phosphoric acid
3. Carbolic acid
4. Kojic acid

Correct answer: 2. Phosphoric acid

Explanation: Chemicals used for peeling (chemical peeling) are :-


Trichloroacetic acid 
Hydroxy acid (Glycolic acid)   
Salicylic acid (β-hydroxy)              
Carbolic acid (Phenol)      
β-hydroxy acid (citric acid, lactic acid, glycolic acid, malic acid)         
Resorcinol
Kojic acid
Jessner solution
Baker's solution
Pyruvic acid
Retinoic acid